Dripping Candle Wax lesion on spine is seen in-
1. Metastasis
2. TB spine
3. Osteopetrosis
4. Melorheostosis

Correct answer: 4. Melorheostosis

Explanation: *Melorheostosis, also known as Leri disease, is an uncommon mesenchymal dysplasia manifesting as regions of sclerosing bone with a characteristic dripping wax appearance or flowing candle wax appearance. REF:Bansal A.The dripping candle wax sign. Radiology. 2008;246(2):638-40